Gutter fracture is due to -
1. A sharp weapon
2. Fire arm injury
3. Blunt weapon
4. Serrated edge

Correct answer: 2. Fire arm injury

Explanation: Gutter fracture : When a part thickness of bone is removed (fracture involves only the outer table of skull), e.g. glancing (oblique) bullet wounds in firearm injury.